A patient underwent Bhadrenalectomy in views of B/L pheochromocytoma 1 day later developed lethargy fatigue low BP and pulse normal No signs of volume deficit likely course
1. Addisonian Crisis
2. SIADH
3. DI
4. Cerebral salt wasting DISEASE

Correct answer: 1. Addisonian Crisis

Explanation: ref harissons 21st ed